Triphasic Cells seen in Wilm's tumour are
1. Blastemal Cells, Embryonal Cells, Epithelial Cells
2. Stromal Cells, Epithelial Cells, Embryonal Cells
3. Mesenchymal Cells, Stromal Cells, Embryonal Cells
4. Stromal Cells , Blastemal Cells, Epithelial Cells

Correct answer: 4. Stromal Cells , Blastemal Cells, Epithelial Cells

Explanation: Wilm's tumour is Triphasic tumour. It has Blastemal Cells, Stromal Cells, Epithelial Cells.